Provisional matrix is made up of ?
1. Fibrin
2. Fibronectin
3. Fibrinogen
4. All

Correct answer: 4. All

Explanation: Ans. is 'd' i.e., All During wound repair, a provisional wound matrix is formed that contains platelets, fibrinogen, fibrin andlibronectin.